Minimum vision loss with which cataract -
1. Blue dot cataract
2. Zonular cataract
3. Anterior polar cataract
4. Posterior polar cataract

Correct answer: 1. Blue dot cataract

Explanation: In blue dot cataract, opacities are situated in the peripheral part of adolescent nucleus and deeper layer of the cortex.Opacities are usually stationary and do not affect vision. Zonular cataract is the most common type of congenital cataract presenting with visual impairement. IMG REF